Which of the following drugs is most likely to precipitate angina ?
1. Amlodipine
2. Nifedipine
3. Diltiazem
4. Verapamil

Correct answer: 2. Nifedipine